Three-wall defects most frequently occur:
1. On the lingual aspect
2. On the facial aspect
3. In the furcation
4. In the interdental area

Correct answer: 4. In the interdental area